Which of the following is a long acting M3 - antagonist used for bronchial asthma
1. Ipratropium
2. Glycopyrolate
3. Cromoglycate
4. Tiotropium

Correct answer: 4. Tiotropium

Explanation: Tiotropium and umiclidinium are longer acting M3-antagonists used in bronchial asthma.